High risk of malignancy is seen in?
1. Simple hyperplasia with atypia
2. Simple hyperplasia without atypia
3. Complex hyperplasia with atypia
4. Complex hyperplasia without atypia

Correct answer: 3. Complex hyperplasia with atypia

Explanation: Answer is option3, complex hyperplasia with atypia Endometrial hyperplasia with atypia is the least common type of hyperplasia, but is the type most likely to progress to type 1 endometrial carcinoma (1-3) which accounts for 97% of uterine cancers, whereas simple hyperplasia rarely progresses to carcinoma. >